Curling's ulcer is seen if burns area is more than
1. 35%
2. 45%
3. 55%
4. 65%

Correct answer: 1. 35%

Explanation: Curling's ulcer is seen if burns > 35%.